Which of the following feature differentiates pethidine from morphine?
1. Local anaesthetic action
2. More analgesic action
3. More respiratory depression
4. Suppresses cough effectively

Correct answer: 1. Local anaesthetic action

Explanation: In contrast to morphine, pethidine has following features 1/10 analgesic potency More rapid onset of action Shorter duration of action Not an effective cough suppressant Lesser spasmodic action on smooth muscles Local anesthetic action Less histamine relief - safer in asthmatics Higher oral; parenteral activity ratio Atropinic effects - dry mouth, blood vision Miosis, constipation Urinary retention are less prominent.